Plasma is a Newtonian fluid because:
1. Viscosity is directly proportional to shear stress
2. Viscosity is equal to shear stress
3. Viscosity is inversely related to shear stress
4. Viscosity is independent of shear stress

Correct answer: 4. Viscosity is independent of shear stress

Explanation: For a Newtonian fluid, viscosity remains constant, independent of the shearing force. Whole blood is a non-Newtonian fluid; its viscosity goes changing with the changes in shearing force.